Which of the following testicular carcinoma is not germ cell tumor -
1. Embryonal cell carcinoma
2. Teratoma
3. Choriocarcinoma
4. Gonadoblastoma

Correct answer: 4. Gonadoblastoma

Explanation: Ans. is 'd' i.e., Gonadoblastoma